Histone has post-translational modification by all /except
1. Acetylation
2. methylation
3. Phosphorylation
4. Glycosylation

Correct answer: 4. Glycosylation

Explanation: Amino-terminal tails of histones are available for regulatory covalent modification by Acetylation, phosphorylation, ADP-ribosylation, methylation, monoubiquitylation and sumoylation.

Note:- Sumoylation means conjugation with SUMO (i.e. small ubiquitin-related modifier).